Common cause of diarrhoea in AIDS cases is due to
1. Plasmodium falciparum
2. Cryptosporidium
3. Ascaris lumbricoides
4. Taenia solium

Correct answer: 2. Cryptosporidium